Toothache relieved with cold water indicates:
1. Acute pulpitis
2. Arterial hyperemia
3. Irreversible pulpitis
4. Venous hyperemia

Correct answer: 3. Irreversible pulpitis